About mesothelioma, all are true except
1. Develop in late middle age
2. It is bilateral and symmetrical
3. It is due to chronic exposure to asbestosis
4. It shows biphasic paftern

Correct answer: 2. It is bilateral and symmetrical

Explanation: Malignant mesothelioma in thorax arises from either visceral or parietal pleura. There is increased incidence among people with heavy exposure to asbestos. There is a long latent period of 25 to 45 years so usually seen in late adulthood or middle age group. Malignant mesothelioma is a diffuse lesion that spreads widely in pleural space & is usually associated with extensive pleural effusion & direct invasion of thoracic structure hence it is more of diffuse nature rather being bilateral & symmetrical.